Cadaveric spasm is -
1. Shows primary relaxation
2. Occurs immediately after death
3. It does not indicates the nature of death
4. Contraction of muscles involved in cadaveric sapsm is less pronounced than rigor mortis

Correct answer: 2. Occurs immediately after death

Explanation: Cadaveric spasm occurs immediately after death, without going into phase of primary relaxation.
It tells the mode of death, suicide/homicide.
Contraction of muscles is more pronounced and requires more (great) force to overcome than rigor motis.